All are signs / features of ectopic pregnancy on USG except –
1. Pseudo sac
2. Hyperechoic rim
3. Adenexal mass
4. Echogenic mass with multicystic spaces within endometrial cavity

Correct answer: 4. Echogenic mass with multicystic spaces within endometrial cavity

Explanation: Echogenic mass with multicystic spaces within the endometrial cavity is seen in gestational trophoblastic diseases, e.g. Hydatifonn male.
Pseudosac, Adenexal mass and Doughnut sign are seen in ectopic pregnancy.
An ectopic pregnancy classically has a thick hyperechoic rim with a central hypoechoic region.